All the following antihypertensive drugs are used in pregnancy except
1. Nifedipine
2. Labetalol
3. Methyl Dopa
4. Enalapril

Correct answer: 4. Enalapril

Explanation: Angiotensin-converting enzyme inhibitors are associated with fetal anomalies hence contraindicated during pregnancy and preconceptional period.